Most common site of gastrointestinal stromal tumor (GIST) is:-
1. Small intestine
2. Colon
3. Stomach
4. Liver

Correct answer: 3. Stomach

Explanation: - Stomach is most common site of GIST. - MC benign tumor of stomach - Leiomyoma - MC malignant tumor of stomach - Adenocarcinoma - MC malignant gastric tumor that bleeds - Leiomyosarcoma - MC mesenchymal tumor of abdomen - GIST